Most common viral disease affecting parotid glands -
1. Mumps
2. Measles
3. Rubella
4. Varicella

Correct answer: 1. Mumps

Explanation: an acute infection commonly affecting children and characterised by non suppurative enlargement of parotid gland REF:ANANTHANARYANAN TEXT BOOK OF MICROBIOLOGY 9EDITION PGNO.507